Findings of trigeminal nerve injury include -
1. Pupillary dilation
2. Loss of blinking reflex of eye
3. Normal jaw reflex
4. Ptosis

Correct answer: 2. Loss of blinking reflex of eye

Explanation: Shining a bright light into one eye causes reflex closure of both eyes the blink reflex ophthalmic division of trigeminal nerve. Pupillary dilation and ptosis is seen in 3rd nerve injury In trigeminal nerve injury their is loss of jaw reflex which is mediated by mandibular nerve